All of the following drugs can produce hyperuricemia EXCEPT :
1. Ethambutol
2. Pyrazinamide
3. Sulfinpyrazone
4. Hydrochlorothiazide

Correct answer: 3. Sulfinpyrazone